An intravenous pyelogram (IVP) showing hydronephrosis in the work up of a patient with cervical cancer otherwise confined to a cervix of normal size would indicate stage:
1. I
2. II
3. III
4. IV

Correct answer: 3. III

Explanation: Ans. is c, i.e. Stage IIINow here - the investigation done is IVP which is one of the recommended investigations by FIGO therefore results of IVP are important for staging. By definition, a positive IVP would mean ureter is involved i.e. extension to pelvic side wall and i.e. Stage IIIB.Such staging applies even if there is no palpable tumor beyond the cervix.